Unna boot is used in treatment of
1. Fracture of ankle joint
2. Calcaneum fracture
3. Varicose ulcer
4. Diabetic foot ulcer

Correct answer: 3. Varicose ulcer